The artery most frequently responsible for bleeding in massive hemoptysis is
1. Bronchial Artery
2. Pulmonary Artery
3. Intersegmental Artery
4. Intercostal Artery

Correct answer: 1. Bronchial Artery

Explanation: Answer is A (Bronchial Artery): The most common source of bleeding in massive hemoptysis are the Bronchial arteries which are part of the high pressure systemic circulation The most common source of bleeding in hemoptysis is the tracheobronchial tree which can be affected by inflammation (bronchitis, bronchiectasis) or neoplasm (bronchiogenic carcinoma, endobronchial metastatic carcinoma or bronchial carcinoid tumor). The bronchial arteries which originate from either the aorta or from intercostal arteries, and are therefore part of the high pressure systemic circulation are the source of bleeding in bronchitis, bronchiectasis or with endobronchial tumors ' `While alveolar haemorrhages arise from capillaries that are part of the low pressure pulmonary circulation, bronchial bleeding is generally from bronchial arteries which are under systemic pressure and therefore predisposed to large volume bleeding'